Most common odontogenis cyst is ?
1. Dentigerous cyst
2. Periapical cyst
3. Odontogenic keratocysts
4. Gorlin cysts

Correct answer: 2. Periapical cyst